Vidian neurectomy is used for the treatment of-
1. Chronic vasomotor rhinitis
2. Benign positional paroxysmal vertigo
3. Meniere's disease
4. Otosclerosis

Correct answer: 1. Chronic vasomotor rhinitis

Explanation: Ans. is 'a' i.e., Vasomotor rhinitis Vasomotor rhinitiso Vasomotor is a nonallergic condition that involves a constant runny nose, sneezing and nasal congestion, i.e., the nose is stuffy or runny for reasons other than allergies and infections. The exact etiology is unknown, but triggers include emotions, odors, poor air quality, spicy foods, and medication side effects. Pathogenesis include:-Parasympathetic overactivityHyperactive nasal mucosa to several non-specific stimuli especially in women of 20-40 years.o Symptoms of vasomotor rhinitis include excessive clear rhinorrhoea, nasal obstruction/congestion, irritation, paroxysmal sneezing and post-nasal drip. Nasal mucosa is hypertrophied & congested: and mucosa of turbinates may give mulberry like appearance and is pale to dusky red in colour.o Complications of vasomotor rhinitis include hypertrophic rhinitis & sinusitis, and nasal polyp.Treatmento Treatment of vasomotor rhinitis includes : -Conservative treatmentAvoidance of physical factors which provoke symptoms.Antihistaminics and oral or nasal decongestants.Topical or systemic steroidsSurgical treatmentNasal obstruction can be relieved by measures which reduce the size of hypertrophied nasal turbinate : - Cryosurgery, submucosal diathermy, Linear cauterization, partial or total turbinectomy, submucosal resection of turbinate.Excessive rhinorrhoea in vasomotor Rhinitis not corrected by medical therapy and bothersome to the patient, is relieved by sectioning the parasympathetic secretomotorfibres to nose i.e., vidian neurectomy.